Sensory nerve supply to Submandibular gland is by:
1. Lingual nerve.
2. Spinal accessory nerve.
3. Mandibular branch of facial nerve.
4. Hypoglossal nerve.

Correct answer: 1. Lingual nerve.